Humoral graft rejection is characterised by?
1. Intense mononuclear infiltration
2. Neovascularisation of grafted tissue
3. Thrombosis of the blood vessels and ischemic necrosis
4. Monocytic infiltration

Correct answer: 3. Thrombosis of the blood vessels and ischemic necrosis

Explanation: Ans. is 'c' i.e., Thrombosis of the blood vessels and ischemic necrosis